Arch- fixed partial denture is:
1. Modified sanitary pontic.
2. Modified ridge lap pontic.
3. Modified spheroidal pontic.
4. Ovate pontic.

Correct answer: 1. Modified sanitary pontic.